True about pseudocyst of pancreas
1. Pancreatic fluid collection
2. May be asymptomatic
3. Amylase raised
4. All of the above.

Correct answer: 4. All of the above.